All the following are indications for termination of pregnancy in an APH patient except
1. 37 weeks
2. IUD
3. Transverse lie
4. Significant bleeding

Correct answer: 3. Transverse lie

Explanation: The definite management - comprises prompt delivery, this is considered when ever The patient has her first bout of bleeding after 37 completed weeks. Successful conservative treatment brings the patients upto 37 weeks. If the initial or a subsequent bout of bleeding is very severe Patient is in labour Evidence of maternal or fetal jeopardy Intrauterine fetal death